Ischemic heart disease is the usual sequel to:
1. Abdominal aortic aneurysm
2. Rheumatic fever
3. Varicose veins
4. Atherosclerosis

Correct answer: 4. Atherosclerosis

Explanation: Ischemic heart disease Caused by coronary atherosclerosis, resulting in decreased blood flow to the myocardium. May develop into angina pectoris, myocardial infarction, chronic ischemic cardiopathy, or sudden cardiac death. On the other hand, arteriosclerosis (hardening of the arteries) usually attacks renal arteries and is related to hypertension and diabetes mellitus. Subendocardium region is most vulnerable to ischemic damage .